A plantprick can produces sporotrichosis.All are true statements about sporotrichosis except:
1. Is a chronic mycotic disease that typically involves skin,subcutaneous tissue and regional lymphatics
2. Most cases are acquired cutaneous inoculation
3. Enlarged lymphnodes extending centripetally as a beaded chain are a characteristic finding
4. It is an occupational disease of butchers,doctors

Correct answer: 4. It is an occupational disease of butchers,doctors

Explanation: Sporotrichosis - Caused by Sporothrix schenkii (dimorphic fungus) Most cases are acquired cutaneous inoculation or walking bare foot M/c seen in farmers , spread by thorn prick. Is a chronic mycotic disease that typically involves skin,subcutaneous tissue and regional lymphatics. Enlarged lymphnodes extending centripetally as a beaded chain are a characteristic finding